Which of the following is true statement regarding radiation?
1. Rapidly dividing cells are resistant to Radiation
2. GI mucosa is one of the most radioresistant tissue in the body
3. The intensity of Radiation is inversely proportional to the square of distance from the source
4. Small blood vessels are least resistant to radiation

Correct answer: 3. The intensity of Radiation is inversely proportional to the square of distance from the source

Explanation: According to Inverse square law in radiation, the intensity of radiation is inversely proportional to the square of distance from the source. Rapidly dividing cells , which are less differentiated are actually more radiosensitive Amongst the body cells, the most sensitive are spermatogonia and the least sensitive are nerve cells and muscle fibres